Which one of the following is the most common initial symtoms of byssinosis -
1. Chest tightness
2. Wheezing
3. Cough
4. Haemoptysis

Correct answer: 1. Chest tightness